Carbamide solution used for bleaching degrades into
1. 0.3% sodium perborate
2. 30% hydrogen peroxide
3. 3% hydrogen peroxide
4. 30% sodium perborate

Correct answer: 3. 3% hydrogen peroxide